Most common associated injury of fracture medial epicondyle is?
1. Elbow dislocation
2. Monteggia fracture dislocation
3. Fracture supracondylar humerus
4. Vascular deficit

Correct answer: 1. Elbow dislocation

Explanation: Medial epicondylar fracture are most commonly (approximately 50%) associated with elbow dislocation. Ref: Rockwood and Green's Fractures in Children 6/e, Page 615-23; Apley's 8/e, Page 601-02.